Which of the following directly affects the prognosis of an avulsed tooth:
1. Length of time the tooth was out of the mouth
2. Condition of the dental socket when the tooth was replanted
3. Whether necrotic cementum was removed from the root
4. Whether the pulp was extirpated to prevent Periapical inflammation

Correct answer: 1. Length of time the tooth was out of the mouth